Which one of the following is not an intravesical chemotherapeutic agent-
1. Mitomycin C
2. BCG
3. Epirubicin
4. Thiotepa

Correct answer: 2. BCG

Explanation: BCG is an immunotherapeutic agent, not a chemotherapeutic one.